A child presents with hepatomegaly and hypoglycemia. There is no improvement in blood sugar even after administration of epinephrine. What is the likely diagnosis -
1. Von girke's disease
2. Anderson's disease
3. Pompe's disease
4. Mc Ardle's disease

Correct answer: 1. Von girke's disease

Explanation: Ans. is 'a' i.e., Von Girke's disease o Amongst the given options only Von Girke's disease presents with hepatomegaly and hypoglycemia. "A diagnosis of type I glycogen storage disease (Von Girke's disease) should be suspected whenever there is hepatomegaly with hypoglycemia that is unresponsive to glucagon or epinephrine".